A freshly prepared oral rehydration solution should not be used after -
1. 4 hrs
2. 6 hrs
3. 12 hrs
4. 24 hrs

Correct answer: 4. 24 hrs